Secretions are rich in which immunoglobulin?
1. IgG
2. IgA
3. Ig M
4. Ig D

Correct answer: 2. IgA

Explanation: ANSWER: (B) IgAREF: Wintrobe's clinical haematology, 12th edition volume 1 page 440, Jawrett s 24th edition Section II. Immunology > Chapter 8. ImmunologySee APPENDIX-20 for "IMMUNOGLOBULINS" APPENDIX - 20Immunoglobulins IgGIgAIgMIgDIgEHeavy chaingaudePercentage75-85 (max)7-155-100.30.019 (min)Carbohydrate %41010.71212serum half-life (days)21 (max)6532 (min)Concentration12 mg/ml2 mg/ml1.2 mg/ml0.03 mg/ml0.00004 mg/mlMolecular formmonomerSerum IgA = monomerPentamerMonomerMonomer Secretory IgA = Dimer Molecular weight150,000(lightest)Serum IgA = 160,000950,000(heaviest)175,000190,000Secretory IgA = 400,000SubclassesIgGl > IgG2 > IgG3 > IgG4IgAl = circulatory, IgA2 = secretoryMl, M2nonenoneComplimentactivationClassical ++ G4 subclass= alternateAlternate (only IgAl fixes complement)Classical +++AlternateAlternate or NoneSedimentationcoefficient7SMonomer = 7S7S7S8SDimer = 15SPlacental crossingYesNoNoNoNoPresence in milkPresentPresentAbsentAbsentAbsentCompartmentEqual in intravascular (45%) and extravascular(55%)compartmentMostly extravascular (Minimum intravascular distribution)mostlyintravascular MostlyextravascularHeat stabilityStableStableStableStableHeat labileAlso know- Producessecondaryresponse - First to appear in fetus (20 wk)- Producesprimaryresponse Homocytotropic